Which of the following is not an abdominal laparoscopic technique for tubal ligation?
1. Pomeroy
2. Parkland
3. Essure
4. Irving

Correct answer: 3. Essure

Explanation: Ans. c, i.e. EssureRef: Williams 23/ed, p698-70lEssure is a permanent intratubal implant inserted trans cervically using hysteroscope, not an abdominal technique for tubal ligation.